Acantholysis is characteristic of:
1. Pemphigus vulgaris
2. Pemphigoid
3. Erythema multoforme
4. Dermatitis herpetiformis

Correct answer: 1. Pemphigus vulgaris

Explanation: A i.e. Pemphigus Vulgaris